A body is brought to you for autopsy. The suspected cause of death is drowning. Which of the following would you NOT expect to find in this body?
1. Diatoms in the bone marrow
2. Miosis
3. Fine copious froth from the mouth
4. Cutis anserina

Correct answer: 2. Miosis

Explanation: In drowning the pupils are dilated. Findings in case of drowning are: 1) Fine froth from the mouth 2) Weeds clenched tightly in the hands 3) Water in stomach 5) Diatoms in brain and bone marrow 5) Dilated pupils 6) Cutis anserina 7) Paltauf haemorrhage Ref: Textbook of Forensic Medicine and Toxicology by Narayan Reddy, Edition 23, Page - 307.